The chance that a health worker gets HIV form an accidental needle prick is -
1. 1%
2. 10%
3. 95%
4. 100%

Correct answer: 1. 1%

Explanation: 0-0.5% risk of HIV by sharing of neefle by drug addictswith unsterilisedsyringes &needles,needle strick&other injuries in health staffs REF:MICROBIOLOGY ANANTHA NARAYANAN NINTH EDITION PAGE.582